Which of the following is not a side effect of paroxetine ?
1. Premature ejaculation
2. Erectile dysfunction
3. Decreased libido
4. Diarrhea

Correct answer: 1. Premature ejaculation